'Bhist regime' is used in treatment of poisoning
1. Odollam
2. Abrus precatorius
3. Ricinus communis
4. Arsenic

Correct answer: 1. Odollam

Explanation: Bhist regimen is used in the treatment of Cerebra odollam poisoning. Cerbera odollam is commonly known as the Suicide tree,Pong-pong, and Othalanga. Ref : Krishnan vij Textbook of Forensic medicine and Toxicology 5th edtion ; pg no - 530